Persistent truncus arteriosus leads to:
1. Bilateral ventricular hypertrophy
2. Pulmonary oligemia
3. Ductus dependent flow
4. CCF at birth

Correct answer: 1. Bilateral ventricular hypertrophy

Explanation: TRUNCUS ARTERIOSUS: - Single arterial trunk arises from heart & supplies - systemic, pulmonary & coronary circulations. VSD is always present with it. - Associated with DiGeorge syndrome - deletion of large region of 22q11 - Clinical features: Immediate new born period - Heart failure is absent. Murmur & minimal cyanosis are only initial findings Next 1-2 months of life - Heart failure is seen d/t increased pulmonary circulation; but still minimum cyanosis is present Wide pulse pressure & bounding pulses are seen Systolic ejection murmur sometimes accompanied by thrill - audible along left sternal border - Diagnosis: ECG - shows right, left / combined ventricular hypertrophy X-ray - Cardiac enlargement in 1st week of life - Increased pulmonary vascularity after 1st few weeks of life - pulmonary plethora Echocardiography: Diagnostic & demonstrate large truncal artery overriding VSD & pattern of origin of pulmonary arteries. - It is Ductus independent.